An adolescent boy present himself with bilateral prominence of breasts and wants the breasts to be removed. Which one of the following incisions would be ideal-
1. Radial incision
2. Incison along the areolar margin
3. Submammary incison
4. All of the above

Correct answer: 2. Incison along the areolar margin